A 65 year old diabetic presents with necrosis of the external auditory meatus with foul smelling discharge. The probable organism associated with the condition is?
1. Hemophilus Influenzae
2. Pseudomonas Aeroginosa
3. Streptococcus Pyogens
4. E Coli

Correct answer: 2. Pseudomonas Aeroginosa

Explanation: Ans. is'b'i.e., Pseudomonas Aeroginosa It is case of malignant otitis externa caused by pseudomonas.Malignant otitis externa, also called necrotizing external otitis, is a misnomeras it is not a neoplastic condition, rather it is an infectious condition.